All of the following can cause DIC during pregnancy except:
1. Diabetes mellitus
2. Amniotic fluid embolism
3. Intrauterine death
4. Abruptio placentae.

Correct answer: 1. Diabetes mellitus

Explanation: Ans. is a, i.e. Diabetes mellitusDIC is a pathological condition associated with inappropriate activation of coagulation and fibrinolytic system. It is a secondary phenomenon resulting from an underlying disease state.Obstetric conditions associated with DIC:More commonLess common* Intrauterine fetal death* Chorioamnionitis* Amniotic fluid embolism* Pyelonephritis in pregnancy* Pre eclampsia- Eclampsia* H. mole* HELLP syndrome* Instillation of intraamniotic hypertonic saline* Placenta Abruption* Feto maternal bleed* Septic Abortion* Incompatible blood transfusion* Viremia -HIV, varicella, CMV hepatitis. COGDT p 997Pathogenesis: